Objectives of ANC include all except ?
1. To attend to the under-fives accompanying the mother
2. To reduce maternal mortality
3. Discouraging temporary contraception
4. To identify high risk cases

Correct answer: 3. Discouraging temporary contraception

Explanation: Ans. is 'c' i.e., Descouraging temporary contraception Antenatal care o Antenatal care is the care of the woman during pregnancy. The primary aim of antenatal care is to achieve at the end of a pregnancy a healthy mother and a healthy baby. Ideally this care should begin soon after conception and continue throughout pregnancy. In some countires, notification of pregnancy is required to bring the mother in the prevention care cycle as early as possible. Objectives o The objectives of antenatal care are :? 1) To promote, protect and maintain the health of the mother during pregnancy. 2) To detect "high-risk" cases and give them special attention. 3) To foresee complications and prevent them. 4) To remove anxiety and dread associated with delivery. 5) To reduce maternal and infant mortality and morbidity. 6) To teach the mother elements of child care, nutrition, personal hygiene, and environmental sanitation. 7) To sensitize the mother to the need for family planning, including advice to cases seeking medical termination of pregnancy; and 8) To attend to the under-fives accompanying the mother.